In regeneration
1. Granulation tissue
2. Repairing by same type of tissue
3. Repairing by different type of tissue
4. Cellular proliferation is largely regulated by biochemical factors

Correct answer: 2. Repairing by same type of tissue

Explanation: ref, Robbins 8/e p92-94 .7/e p 88,9/e p101 When the injury is minimal, the tissue may effectively replace the damaged or lost cells . In severely damaged tissues or long-term chronic situations, the ability of the tissue toregenerate the same cell types and tissuestructure may be exceeded, so that a different and imperfect repair occurs.